The number of new cases occurring in a defined population during a specified period of time is called -
1. Period prevalence
2. Point prevalence
3. Prevalence
4. Incidence

Correct answer: 4. Incidence